First manifestation of Alport syndrome is -
1. Microscopic haematuria
2. Proteinuria
3. Oliguria
4. Sensorineural deafness

Correct answer: 1. Microscopic haematuria